Headache, behaviorial changes, Schizophrenia, like psychosis, visual hallucination and paranoid symptoms are seen in intoxication / abuse of?
1. Amphetamines
2. Cocaine
3. Cannabis
4. Heroin

Correct answer: 1. Amphetamines

Explanation: Ans. is 'a' i.e.,Amphetamines AmphetaminesAmphetamine is a powerful CNS stimulator. It acts on norepinephrine release in brain, along with an action on release of dopamine and serotonine.